27. Topical steriods are not recommended post surgery for:
1. allergic fungal sinusitis
2. Chronic rhinosinusitis
3. Antrochoanal polyp
4. Ethmoidal polyp

Correct answer: 3. Antrochoanal polyp

Explanation: For antrochoanal polyps cause is infection and not the allergy. antrochoanal polyps are single,unilateral and rarely recur. Topical steriods are rarely recommend ref Scott Brown 7/e,p 1553